rPTH used in osteoporosis is -
1. Teriparatide
2. Denosumab
3. Calcitriol
4. Calcipotriol

Correct answer: 1. Teriparatide

Explanation: Ans. is 'a' i.e., Teriparatide